Burkitt's lymphoma is associated with (Repeat) -
1. t(8, 14)
2. t(9,22)
3. t< 15,17)
4. Deletion of 5 chromosome

Correct answer: 1. t(8, 14)

Explanation: Ans: A- t(8,14) Ref: Robbins Pathologic Basis of Disease, 8th edition.Bone misc tumors chapterExplanation:BURKETT LYMPHOMAThere are three clinical typesAfrican (endemic) Burkitt lymphoma,Sporadic (nonendemic) Burkitt lymphomaAggressive lymphomas associated with HIV.These 3 types are histologically identicalMorphologyThe tumor exhibits a high mitotic index and contains numerous apoptotic cells, the nuclear remnants of which are phagocytosed by interspersed benign macrophages.These phagocytes have abundant clear cytoplasm, creating a characteristic "starry sky" pattern.ImmunophenotypeThese are tumors of mature B cellsIt expresses surface IgM, 0)19. CD20, 0)10, and BCL6. a phenotype consistent with a germinal center B-cell origin.Unlike other tumors of germinal center origin, this does not express anti-apoptotic protein BCL2.Molecular PathogenesisAll forms of Burkitt lymphoma are associated with translocations of the c-MYC gene on chromosome 8.The translocation partner is usually the IgH locus or g light-chain loci.All endemic tumors are latently infected with EBV. which is also present in about 25% of HIV- associated tumors and 15% to 20% of sporadic cases.Clinical FeaturesEndemic Burkitt lymphoma often presents as a mass involving the mandible and shows an unusual predilection for involvement of abdominal viscera, particularly the kidneys, ovaries, and adrenal glands.Sporadic Burkitt lymphoma most often appears as a mass involving the ileocecum and peritoneum.Burkitt lymphoma is very aggressive but responds well to intensive chemotherapy.